Gold standard for diagnosis of PID?
1. Clinical triad of Pain, Fever and Cervical tenderness
2. Histologic confirmation of Endometritis
3. Diagnostic Laparoscopy
4. USG

Correct answer: 3. Diagnostic Laparoscopy

Explanation: Diagnostic LaparoscopyVisualization of purulent exudate coming through the fimbrial end of the fallopian tube is diagnostic of acute PI(D). The best material for culture is this exudate. Thus laparoscopy is the gold standard though diagnosis is mostly clinical. Laparoscopy is also the gold standard for ectopic pregnancy, ovulation, endometriosis.Ref: Shaw's Textbook of Gynaecology; 16th edition; Chapter 13; Pelvic Inflammatory disease